First local anesthetic used in clinical anaesthesia was:
1. Bupivacaine
2. Procaine
3. Lidocaine
4. Cocaine

Correct answer: 4. Cocaine

Explanation: Cocaine was the first agent to be isolated by Niemann in 1860. Procaine was synthesized in 1905. From padmaja Fourth edition Page no 199